What is true about Ophthalmodynamometry?
1. Measures the pressure of the ophthalmic artery
2. Measures the IOP of the eye
3. Measures the velocity of blood flow in the central retinal artery
4. Indirectly measures the pulsation of the central retinal vein

Correct answer: 1. Measures the pressure of the ophthalmic artery

Explanation: Ophthalmodynamometry is used to estimate the pressure in the ophthalmic artery (OA) at the site of origin of the central retinal artery (CRA). Measurements are performed by increasing IOP by gradually applying pressure to the globe and observing the arteries on the optic disc until they begin to pulsate. The pressure required to produce artery pulsations on the optic disc reflects the OA diastolic pressure, whereas the force required to cause cessation of arterial pulsations reflects the OA systolic pressure. In OIS(occular ischemic syndrome), the CRA perfusion pressure is low and for this reason the pressure necessary for the pulsations to appear is reduced. Diastolic readings are decreased in OIS, and may improve or return to normal after carotid artery surgery. They are considered to be more reliable than systolic readings.